Bacteremia is:
1. Common after anastomotic breakdown
2. Dangerous if the patient has a prosthesis, which can become infected
3. May be associated with systemic organ failure
4. All of the above

Correct answer: 4. All of the above

Explanation: Bacteremia

Common after anastomotic breakdown
Dangerous if the patient has a prosthesis, which can become infected
May be associated with systemic organ failure